Wide diploic space of skull with brush border (hair on end) appearance is characteristic of
1. Congenital haemolytic anaemia
2. Multiple myeloma
3. Raised intracranial tension
4. Meningioma

Correct answer: 1. Congenital haemolytic anaemia

Explanation: A i.e. Congenital hemolytic anemia